Maternal serum Alpha Feto Protein (MSAFP) raised in all the following conditions except -
1. Spina bifida
2. Multiple pregnancy
3. Omphalocele
4. Down's syndrome

Correct answer: 4. Down's syndrome

Explanation: AFP UE3 hCG Associated conditions low low high Down Syndromelow low low trisomy 18 (Edward's syndrome)high n/a n/a neural tube defects (like spina bifida that may have associated increased levels of acetylcholinesterase in the amnionic fluid), omphalocele, gastroschisis, multiple gestation (like twins or triplets), or an underestimation of gestational age.